A 63-year-old bartender presents at his physician's office complaining of a painful sore on his tongue. On examination, it is found that he has an ulcerated lesion on his tongue and a mass in the submandibular gland triangle. What is the most likely diagnosis? SELECT ONE.
1. Lymphoma
2. Squamous cell carcinoma
3. Metastatic skin cancer
4. Benign mixed tumor

Correct answer: 2. Squamous cell carcinoma

Explanation: The tip of the tongue drains into the submental lymph nodes, whereas, the side of the tongue drains into the submandibular lymph nodes.